Which premolar would be the most likely to have a single pulp horn?
1. Maxillary first.
2. Mandibular first.
3. Mandibular second.
4. Maxillary second.

Correct answer: 2. Mandibular first.

Explanation: Mandibular first premolar is most likely to have a single pulp horn